Pseudopancreatic cyst in a child is commonly due to -
1. Annular pancreatitis
2. Drug induced pancreatitis
3. Traumatic pancreatitis
4. Choledochal cyst

Correct answer: 3. Traumatic pancreatitis

Explanation: Ans. is 'c' i.e., Traumatic pancreatitis o Blunt abdominal trauma is the most common cause of acute pancreatitis in childhood. o Pseudcyst occurs in up to 15% of patients as a complication of acute pancreatitis.